A 20 year old man complain of headache after spinal anaesthesia. Which of the following is the likely cause?
1. Raised ICT
2. Meningitis
3. CSF leak
4. Encephalitis

Correct answer: 3. CSF leak

Explanation: Here the headache is believed to be due to loss of CSF. It can be minimised by using a smaller bone needle.